Lentigo maligna is most commonly seen in -
1. Face
2. Trunk
3. Sole
4. Leg

Correct answer: 1. Face